The most common cause of bronchiolitis is:
1. Respiratory syncytial virus
2. Adenovirus
3. Herpes virus
4. Influenza virus

Correct answer: 1. Respiratory syncytial virus

Explanation: M/C organism causing Bronchiolitis is RSV Other organisms are :- Influenza virus Parainfluenza virus Human metapneumovirus Coronavirus Adenovius Rhinovirus Palivizumab injection is used to prevent serious lung infection in children and babies caused by respiratory syncytial virus (RSV).